Scar formation is part of the normal healing process following injury. Which of the following tissues has the ability to heal without scar formation?
1. Liver
2. Skin
3. Bone
4. Muscle

Correct answer: 3. Bone

Explanation: Every tissue in the body undergoes reparative processes after injury. Bone has the unique ability to heal without scar and liver has the potential to regenerate parenchyma, the only organ that has maintained that ability in the adult human. Although liver does regenerate, it often heals with scar (cirrhosis) as well. With these exceptions, all other mature human tissues heal with scar.